Most common site of berry's aneurism is -
1. Trifurcation of internal carotid artery
2. Junction of anterior cerebral and anterior communicating artery
3. Bifurcation of basilar artery
4. Middle cerebral artery

Correct answer: 2. Junction of anterior cerebral and anterior communicating artery

Explanation: Ans. is' b' i.e., Junction of anterior cerebral and anterior communicating artery Most common sites of Berry's Aneurysma. Junction of anterior cerebral and anterior communicating arteryb. Bifurcation of MCAc. Trifurcation of CIAd. Bifurcation of basilar artery